If a patient is absolutely allergic to LA, the specific drug used in place of it is:
1. Chlorpheniramine maleate
2. Benzalkonium chloride
3. Diphenhydramine hydrochloride
4. Ketamine hydrochloride

Correct answer: 3. Diphenhydramine hydrochloride

Explanation: If the patient is allergic:

To ester local anesthetics, try an amide local anesthetic.
To amide local anesthetics, try an ester local anesthetic.
To methylparaben or is allergic to both amide and ester local anesthetics, try a MPF product.
To antioxidants or sulfite compounds, review the product ingredients.

Some  drugs  like pheniramine,  promethazine,  diphenhydramine have  strong  while others  have  weak  membrane stabilizing  property.
MPF= Methyl paraben Free 
Reference : KDT pharmacology 8th ed page no 180